The ability to recognize an unseen familiar object placed in the hand depends on the integrity of____.
1. Posterior column
2. Posterior spinocerebellar tract
3. Spino-olivary tract
4. Spinospinal tract

Correct answer: 1. Posterior column

Explanation: Stereognosis: Ability to recognize the form and texture of an unseen familiar object. It is a function of the posterior(dorsal) column-medial lemniscus system Functions of Dorsal column - medial leminiscus system Pressure Vibration Tactile discrimination Stereognosis Conscious proprioception The dorsal spinocerebellar tract (posterior spinocerebellar tract, Flechsig's fasciculus, Flechsig's tract) conveys unconscious proprioceptive information from proprioceptors in the skeletal muscles and joints to the cerebellum.